Femoral hernia is characteristically ... the pubic tubercle -
1. Lateral and below
2. Medial and above
3. Lateral and above
4. Medial and below

Correct answer: 1. Lateral and below

Explanation: Ans. is 'a' i.e., Lateral and below